In Co-Cr alloy, function of chromium is to provide
1. Increase in corrosion resistance
2. Increases strength
3. Increased toughness
4. Increase flexibility

Correct answer: 1. Increase in corrosion resistance